A CKD patient is having protracted vomiting episodes. pH=7.42, pC02= 40, HCO3= 25, Na= 140mEq, Chloride= 95mEq and HCO3= 25mEq. Comment on the diagnosis.
1. Metabolic acidosis and metabolic alkalosis
2. Metabolic acidosis and compensated respiratory alkalosis
3. Metabolic acidosis and respiratory acidosis
4. Normal ABG report with normal electrolytes

Correct answer: 1. Metabolic acidosis and metabolic alkalosis

Explanation: CKD - M. acidosis Vomiting - M. alkalosis (| Aldosterone) Anion gap = Na+ - (Cl-+ HCO3-) = 140 - (95 + 25) = 140 - 120 High anion gap = 20 meq